ABO antigen are found in all except ?
1. Saliva
2. Sweat
3. CSF
4. Gastric juice

Correct answer: 3. CSF

Explanation: Ans. is 'c' i.e., CSF ABO antigen can be demenstrated in all body fluids except CSF"_________ Reddy. They are detected in almost all tissues, but not found in - Nerve tissue Epithelium Skin appendages Bone Cartilage